A young man with pulmonary tuberculosis presents with massive recurrent hemoptysis. For angiographic treatment, which vascular structure should be evaluated first?
1. Pulmonary artery
2. Bronchial artery
3. Pulmonary vein
4. Superior vena cava

Correct answer: 2. Bronchial artery

Explanation: Hemoptysis is usually mild in TB, occasionally it can be massive. When massive, it is of bronchial artery or nonpulmonary systemic artery origin. Blood supply to lung parenchyma comes from bronchial artery, which originates from aorta or intercostals arteries and is therefore part of high pressure systemic circulation. It is the source of bleeding in bronchitis or bronchiectasis or in endobronchial tumors. Severe hemoptysis from bronchial arteries can be treated with angiographic embolization of the bronchial arteries. Ref: Textbook of Pulmonary and Critical Care Medicine By S. K. Jindal, SK Jindal, M.D. Page 540.